D-dimer is the sensitive diagnostic test for
1. Pulmonary embolism
2. Acute pulmonary oedema
3. Cardiac tamponade
4. Acute myocardial infarction

Correct answer: 1. Pulmonary embolism

Explanation: The sensitivity of the d-dimer is >80% for DVT (including isolated calf DVT) and >95% for PE. The d-dimer is less sensitive for DVT than for PE because the DVT thrombus size is smaller.A normal d-dimer is a useful "rule out" test. However, the d-dimer assay is not specific. Levels increase in patients with myocardial infarction, pneumonia, sepsis, cancer, and the postoperative state and those in the second or third trimester of pregnancy.Ref: Harrison's 19e pg: 1632